What is characteristic of female oogenesis?
1. Meiosis initiated once in a finite population of cells
2. One gamete produced per meiosis
3. Completion of meiosis delayed for months or years
4. All

Correct answer: 4. All